Which of the following drug is associated with the highest cardiac mortality?
1. Rofecoxib
2. Nicorandil
3. Losartan
4. Metoprolol

Correct answer: 1. Rofecoxib

Explanation: Coxibs are selective cox2 inhibitors- Basically, Coxibs are NSAIDS They won't cause gastric acidity as they won't exert their effect on cox-1 but as there is an increased chance of cardiac events like heart attack due to excess thrombosis Excess thrombosis is due to decrease in PGI2 and enhanced TXA2 Ref: KD Tripathi 8th ed.